RMP of smooth muscle is?
1. -50mv
2. -75mv
3. -90mv
4. -35mv

Correct answer: 1. -50mv